A male child of 15 years with a mental age of 12 years has an IQ of -
1. 50
2. 60
3. 70
4. 80

Correct answer: 4. 80

Explanation: IQ = mental age/chronological age *100 mental age is 12 yr, chronological age is 15 yr so 12/15 =0.8, 0.8*100= 80 ref; (page no;637) 25th edition of PARK's textbook of Preventive and Social medicine